Most common situation associated with transient tachypnea of newborn is
1. Term delivery requiring forceps
2. Term requiring ventouse
3. Elective caesarean section
4. Normal vaginal delivery

Correct answer: 3. Elective caesarean section

Explanation: Ans. is 'c & d' i.e., Elective caesarean section & Normal vaginal delivery [Ref O.P. Ghai 8th/e p. 171 & 7th/e p. 146; Various articles of Obs & GynaTransient tachypnea of Newborn* Transient tachypnea of the newborn is a benign self-limiting disease occuring usually in term neonates and is d to delayed clearance of lung fluid. It is also called respiratory distress syndrome type II.* TTN follows -i) Uneventful normal preterm or term vaginal deliveryii) Cesarean delivery* TTN is believed to be secondary to slow absorption of fetal lung fluid resulting in decreased pulmona compliance and tidal volume and increased dead space therefore also known as wet lung.* Clinical manifestations# Early onset of tachypnea# Sometimes retraction or expiratory grunting# Occasionally cyanosis# Patients usually recover rapidly within 3 days.# Hypoxemia, hypercapnia and acidosis are uncommon.* The lungs are generally clear without rales or rhonchi and chest roentgenogram shows -# Prominent pulmonary vascular markings# Overaeration# Fluid lines in the fissure# Flat diaphragms# Prominent inter-labar fissure# Occasionally pleural fluid.* Distinguishig this disease from hyaline membrane disease is difficult. The distinctive feature of transient tachyapnea are -# Mild symptomology# Sudden recovery of the infant# Absence of roentgenographic reticulogranular pattern or air bronchogram.